The dartos muscle is innervated by
1. Ilioinguinal nerve
2. Iliohypogastric nerve
3. genitofemoral nerve
4. Pudendal nerve

Correct answer: 3. genitofemoral nerve

Explanation: It is a sheet of smooth muscle. It arises from the layer superficial to the superficial fascia. It arises superficially to insert into the skin and midline fibrous raphae of the scrotum. It is innervated by the sympathetic fibres from the genital branch of the genitofemoral nerve. ref - BDC 6e vol2